Mesna is given with cyclophosphamide to ?
1. Increase absroption
2. Decrease excretion
3. Amolierate haemorrhagic cystitis
4. Decrease metabolism

Correct answer: 3. Amolierate haemorrhagic cystitis

Explanation: Ans. is 'c' i.e., Ameliorate haemorrhagic cystitis